Which of the following causes Melioidosis?
1. Burkholderia mallei
2. Burkholderia pseudomallei
3. Burkholderia cepacia
4. None

Correct answer: 2. Burkholderia pseudomallei